Radiological findings of battered baby syndrome is :
1. Multiple Inuries not explained by one cause
2. Multiple fractures in different stage of healing
3. Excessive callus formation
4. All

Correct answer: 4. All

Explanation: D i.e. All Battered Baby/ Caffey Syndrome is a term used to define a clinical condition in young children, who have received nonaccidental injury on one or more occasions at the hands of adults responsible for child's welfare. I think this definition is self explanatory - as the child is beaten regularly there are multiple injuries & fractures in different stages of healing. Due to lack of proper splintage, fracture either does not unite or unite with excess callus formation.